Pituitary tumour causes:
1. Binasal hemianopia
2. Homonymous hemianopia
3. Monocular blindness
4. Bitemporal hemianopia

Correct answer: 4. Bitemporal hemianopia

Explanation: Ans. Bitemporal hemianopia